Normal capacity of renal pelvis is
1. 7 ml
2. 12 ml
3. 15 ml
4. 20 ml

Correct answer: 1. 7 ml

Explanation: The renal pelvis is roughly pyramidal, with the base facing the parenchyma and the apex funneling down into the ureter. It usually has a capacity of 3 to 10 mL of urine. ref : campbell - walsh urology 11th ed , chapter 42 , pg no : 973